The multiplying factor of estimating from the femur (male) is -
1. 3.6 – 3.8
2. 4.1 – 4.8
3. 4.9 – 5.6
4. 5.8 – 6.0

Correct answer: 1. 3.6 – 3.8

Explanation: Length of vertebral column × 3 = height
A P length of skull × 8= height
Height of skull bone with mandible × 7= height
Length of humerus × 5 = height
Length of radius × 6.3 = height
Length of ulna × 6 = height
Length of femur × 3.8 = height
Length of tibia × 4.2 = height
Length of fibula × 4.4 = height
Length of clavicle × 11.1 =height